Laryngeal papillomas caused by which HPV?
1. 16,18
2. 6,11
3. 33,35
4. 52,58

Correct answer: 2. 6,11

Explanation: Ans. b. 6, 11CUTANEOUS WARTSHPV 2 and 4: Common warts (are predominantly found on hands and fingers).HPV 1: Plantar warts (are predominantly found on soles of feet; tend to be deeper and more painful)Anogenital Warts (Condylomata Acuminata)Over 90% are serotypes 6 and 11 (benign)Also cause laryngeal papillomas in infants and sexually active adultsSerotypes 16 and 18 are preneoplastic (cervical intraepithelial neoplasia or CIN), 31,33,35,45,52,58 (16 and 18>70% of cases).